Which is NOT a type I respiratory failure:
1. ARDS
2. COPD
3. Pulmonary edema
4. Pneumonia

Correct answer: 2. COPD

Explanation: Ans. B i.e. COPD Respiratory failure Type I: - Parenchymal disease, - ARDS, - Pneumoniae, Emphysema Type II: - COPD, - Flail chest etc. Type III: - Atelectasis